Out of the following hypersensitivity reactions, in which type a single dose of the antigen can act as both the sensitizing and shocking dose.
1. Anaphylaxis
2. Arthus reaction
3. Serum sickness
4. Contact dermatitis

Correct answer: 3. Serum sickness